What is the main feature of chemotaxis as observed in white blood cells?
1. Increased random movement of neutrophils
2. Increased adhesiveness to intima
3. Increased phagocytosis
4. Unidirectional locomotion of neutrophils

Correct answer: 4. Unidirectional locomotion of neutrophils

Explanation: Chemotaxis is defined as unidirectional movement of leukocytes up a concentration gradient of chemotactic molecules. All granulocytes, monocytes and to a lesser extent lymphocytes respond to chemotactic stimuli with varying rates of speed. Chemoattractants are exogenous or endogenous in nature. Exogenous agents are bacterial products. Endogenous mediators are:Components of complement pathway C5aProducts of lipoxygenase pathway LTB4Cytokines particularly those of chemokine familyRef: Robbins Pathologic Basis of Disease, 6th Edition, Page 61